The secondary structure of prion particles is:
1. Alfa helix
2. Beta bends
3. Beta sheets
4. Beta turns

Correct answer: 3. Beta sheets

Explanation: C i.e. Betasheets There is no difference in amino acid & gene sequence, primary structure & post translational modifications between normal cellular isoform of non infectious (host) prion protein (PrPC) and infectious (pathological) prion proteins (PrPsc). The key to becoming infectious lies in 3 dimensional conformation i.e. a number of a -helices present in non infectious PrPC are replaced by /3 sheets in infectious (PrPse) formQ.